Hernia into pouch of Douglas is ..... hernia -
1. Beclard's
2. Bochdaleks
3. Blandin's
4. Berger's

Correct answer: 4. Berger's

Explanation: Ans. is 'd' i.e., Berger's Beclard's hernia ---> is the femoral hernia through the opening of the saphenous vein (named after Pierre Augustin Beclard) [Ref: www.whonamedit.comj